Which of these statements is false for erythema marginatum?
1. Lesions are serpiginous
2. Characteristically it is seen in Rheumatic fever
3. Rash worsens on application of heat
4. Rash is itchy

Correct answer: 4. Rash is itchy

Explanation: Erythema marginatum is one of the major criteria for diagnosis of rheumatic fever.

It is an evanescent macular rash which has following characteristics-
Pink /erythematous with a clear centre
​Rounded or serpiginous border
Non-pruritic
Non-indurated
Transient
Migratory → moves from place to place
Brought on by application of heat
Not raised above skin
Blanches on pressure
Distribution → on trunk and proximal extremities. Face is never involved.
Erythema marginatum is extremely rare in Indian patients.